Which among the following is the commonest haematological malignancy in children?
1. CLL
2. AML
3. CML
4. ALL

Correct answer: 4. ALL

Explanation: Acute lymphoblastic leukemia (ALL) is the most common malignancy of childhood, accounting for about 25% of all cancer diagnoses in patients younger than age 15 years. The peak age at onset is 4 years; 85% of patients are diagnosed between ages 2 and 10 years. Children with Down syndrome have a 14-fold increase in the overall rate of leukemia. Ref: Graham D.K., Quinones R.R., Keating A.K., Maloney K., Foreman N.K., Giller R.H., Greffe B.S. (2012). Chapter 31. Neoplastic Disease. In W.W. Hay, Jr., M.J. Levin, R.R. Deterding, J.J. Ross, J.M. Sondheimer (Eds), CURRENT Diagnosis & Treatment: Pediatrics, 21e.